Interleukin responsible for pyrexia is?
1. IL1
2. IL6
3. INF gamma
4. IFN alpha

Correct answer: 1. IL1

Explanation: principal mediators involved in fever IL-1 TNF prostaglandins The systemic host response to microbial infection involves clinical signs and symptoms of infection, including fever and elevated white blood cell (WBC) counts. In addition, inflammatory mediators are released, including activated complement product C3a, interleukin 6 (IL-6), and the acute-phase reactant secretory phospholipase A2 ref robbins 9th ed page 90 tab 3.7